Which of the following conditions may lead to exudative pleural effusion
1. Cirrhosis
2. Nephrotic syndrome
3. Congestive heart failure
4. Bronchiogenic carcinoma

Correct answer: 4. Bronchiogenic carcinoma

Explanation: Ref Harrison Malignant pleural effusions secondary to metastatic disease are the second most common type of exudative pleural effusion. The three tumors that cause ~75% of all malignant pleural effusions are lung carcinoma, breast carcinoma, and lymphoma. Ref Davidson edition23rd pg 626